Emotions are linked with which part of the brain
1. Pre-frontal cortex
2. Limbic system
3. Hypothalamus
4. Reticular formation

Correct answer: 2. Limbic system

Explanation: (B) Limbic system # Limbic system comprises of: Amygdala Hippocampus Septal nuclei, and A rim of cortical tissue around the hilum of the cerebral hemisphere> Limbic system is concerned with: Emotions Sexual behaviour Olfaction, and Autonomic responses